Which is not true regarding Insulinoma -
1. Hypoglycemic attacks
2. Weight loss
3. Usually Solitary tumour
4. Mostly benign tumour

Correct answer: 2. Weight loss

Explanation: Hypoglycemic attacks are part of Whipple's triad
Insulinoma is usually solitary (~90%)
Only 5 to 15% are malignant